Characteristic 'tram-line' calcifications in the skull radiographs are observed in:
1. Cleidocranial dysostoses
2. Sturge-Weber Syndrome
3. Paget's Disease
4. McCune-Albright syndrome

Correct answer: 2. Sturge-Weber Syndrome

Explanation: People who have Sturge-Weber syndrome usually have both facial and intraoral macular hemangioma, although the intraoral hemangiomas may also be of the exophytic variety. An additional characteristic is the "tramline" calcifications seen in lateral skull radiographs.
Wood and Goaz - Differential Diagnosis of oral & maxillofacial lesions ; 5th ed. Page no 65